Fastest conducting nerve fiber is?
1. Alpha
2. Beta
3. Gamma
4. Epsilon

Correct answer: 1. Alpha

Explanation: Ans. A AlphaRef: Ganong, 25th ed. pg. 95, Miller's Anesthesia pg. 77GroupMyelinationConduction velocity (m/s)FunctionErlanger and GasserLIoyd & HuntAaIHeavily myelinated70-120 maximumProprioception Motor supply to skeletal muscle (extrafusal to muscle spindle)AbIIMyelinated25-70Touch, kinesthetic sense, pressureAg-Slightly myelinated15-30Motor supply to intrafusal muscle fibres (muscle spindle)AdIIIPartially myelinated5-30Pain, temperature, pressure, touch (cold/font sharp pain)B-Partially myelinated3-14Preganglionic autonomic fibresCIVUn-myelinated0.2-2Pain, temperature pressure, post-ganglionic autonomic fibres (Hot temp/slow, visceral pain)